Most accepted theory among the following:
1. Chemioparasitic theory.
2. Proteolytic theory.
3. Proteolytic chelation theory.
4. Dissolution theory.

Correct answer: 1. Chemioparasitic theory.